Batson's plexus of veins connects-
1. Prostatic and vertebral venous plexus
2. Gastric and hepatic veins
3. Upper and lower esophageal plexus
4. Superior amd inferior rectal veins

Correct answer: 1. Prostatic and vertebral venous plexus

Explanation: Ans. is 'a' i.e., Prostatic and vertebral venous plexus * 'There is valveless communication between prostatic plexus and vertebral venous plexus (Batson plexus) through which prostatic carcinoma can spread to vertebral column and skull'